Heriditory spherocytosis is caused by
1. Spectrin deficiency
2. Hb deficiency
3. Incresed sodium levels
4. Increased calcium levels

Correct answer: 1. Spectrin deficiency

Explanation: Spectrin causes membrane loss leading to spherical shape of rbc